Gram stain is a?
1. Simple stain
2. Differential stain
3. Negative stain
4. Fluorescent stain

Correct answer: 2. Differential stain

Explanation: The Gram stain is the most important staining procedure in microbiology. It is used to differentiate between gram positive organisms and gram negative organisms. Hence, it is a differential stain. Gram negative and gram positive organisms are distinguished from each other by differences in their cell walls. Ref: Ananthanarayana & panikers 9th edition